Froment's sign is a feature of:
1. Radial nerve palsy
2. Ulnar nerve palsy
3. Median nerve palsy
4. Tibial nerve palsy

Correct answer: 2. Ulnar nerve palsy

Explanation: Ans. (b) Ulnar nerve palsyMaheshwari 5th ed. / 64Tests for ulnar nerve* Card testPalmar interossei are Adductors (PAD) tested by asking the patient to hold a card between the extended fingers and assess resistance against pulling* EgawatestDorsal interossei are Abductors (DAB) supplied by the ulnar nerve. It is tested by asking the patient to place the palm on table and move the middle finger both ways, i.e. towards index finger and ring finger. In Dorsal interossei palsy patient will be unable to abduct the middle finger.* Book test/ Froment's signTo test adductor pollicis ask the patient to grasp a book or card between extended thumb and index finger. An ulnar nerve palsy patient tries to grasp the book by flexing the inter- phalangeal joint of thumb.